The characteristic lesion of atherosclerosis is
1. Fibrinoid necrosis of the media
2. Giant cell reaction in the retina and internal elastic lamina
3. Organised thrombus in the affected segment
4. 'Fibro-fatty' lesion in the intima of the blood vessels

Correct answer: 4. 'Fibro-fatty' lesion in the intima of the blood vessels

Explanation: Atherosclerosis is a intima based lesion composed of a fibrous cap and an atheromatous core: the constituents of the plaque include smooth muscle cells, ECMs, inflammatory cells, lipids and necrotic debris Robbins 9th edition page no 343